What is the earliest radiological finding of ulcerative colitis on single contrast barium enema?
1. Loss of haustrations
2. Fine mucosal granularity
3. Pipe stem colon
4. Collar button ulcer

Correct answer: 2. Fine mucosal granularity

Explanation: The earliest radiological change in UC on single contrast barium enema is fine mucosal granularity. Collar button ulcers and oedematous, thickened haustrations are seen with disease progression. Loss of haustrations is seen with long standing disease.